Which of these cases of ca vulva has the poorest prognosis?
1. Large tumour size
2. positive inguino-femoral lymph nodes
3. positive pelvic lymph nodes
4. involvement of lower 1/3rd of vagina

Correct answer: 3. positive pelvic lymph nodes

Explanation: The single most important prognostic factor is lymph node status:5-year survival without groin node metastases is greater than 90%; with groin node metastases, 5-year survival is 50%. Inguino-femoral lymph nodes are involved in stage iii whereas pelvic and other lymph nodes are involved in stage iv A and hence pelvic lymph nodes will have poorer prognosis